Following delivery, Uterus becomes a pelvic organ after_____
1. 24 hours
2. First week
3. Second week
4. Third week

Correct answer: 3. Second week

Explanation: Size of uterus - 1. immediately after delivery- just below the umblicius 2. Uterus become pelvic organ in 10-14 days 3. Uterus comes to normal size in 4-6 weeks